Which of following is not absorbed in PCT:
1. Bicarbonate
2. Sodium
3. Phosphate
4. H+

Correct answer: 4. H+

Explanation: D i.e. H+